The sputum specimen of a 70 year old male was cultured on a 5% sheep blood agar. The culture showed the presence of α-hemolytic colonies next day. The further processing of this organism is most likely to yield -
1. Gram positive cocci in short chains, catalase negative and bile resistant
2. Gram positive cocci in pairs, catalase negative and bile soluble
3. Gram positive cocci in clusters, catalase positive and coagulase positive
4. Gram negative coccobacilli catalase positive and oxidase positive

Correct answer: 2. Gram positive cocci in pairs, catalase negative and bile soluble